Dentin bonding agents usually contain:
1. Only Hydrophobic component
2. Only Hydrophilic component
3. Hydrophobic and hydrophilic component
4. Lyophillic and lyophobic component

Correct answer: 3. Hydrophobic and hydrophilic component